Watson Jones operation is done for-
1. Polio
2. Muscle paralysis
3. Neglected clubfoot
4. Chronic ankle instability

Correct answer: 4. Chronic ankle instability

Explanation: Watson Jones operation is done for chronic ankle instability.
Note : Watson Jones approach (not Watson - Jones operation) is used for hip surgeries.